Short acting mydriatics are :
1. Atropine
2. Hematropine
3. Tropicamide
4. All

Correct answer: 3. Tropicamide

Explanation: C i.e. Tropicamide - Short acting mydriatics are tropicamide (with cycloplegia) and phenylepherine (without cycloplegia)Q. - Atropine is most potent and has longest duration of action, retaining its activity for 7 days. Atropine 1% eye ointment is used for refraction & fundus examination in children, especially those less than 5 years of age Q and those with darkly pigmented irises. Systemic absorption of atropine may lead to facial flushing hence ointment is preferred over drops in young children.Q. Atropine 1% drops or ointment may also be used as penalization therapy, in the better eye, in patients with amblyopia. Prolonged atropine use may cause contact dermatitis. - Drugs used as mydriatics include-atropine, homatropiine, cyclopentolate, tropicamide, & phenylephrineQ. Cocaine also have cycloplegic Q property. - Pirenzepine & Telenzepine are selective M1 muscarinic receptor blockers which inhibits gastric secretions without producing typical atropinic side effects (these are due to blockage of M2 & M3 receptors) Because accomodation is almost exclusively mediated parasympathetic pathways, it is antagonized best with muscarinic blockers (antagonists). So muscuranic antagonit always cause cycloplegia (= paralysis of accommodation) with mydriasis (pupil dilatationQ). Anticholinergic (anti muscarinic) agents are tropicamide, cyclopentolate, homatropine, scopolamine (hyoscine) and atropine. Sympathomimetic drug phenylephrine (adrenaline) causes mydriasis but has no significant effect on accommodationQ.